The first product of "Glycogenolysis" is:
1. Glucose- 6-phosphate
2. Glucose 1, 6 diphosphate
3. Glucose-1-phosphate
4. Fructose-l-phosphate

Correct answer: 3. Glucose-1-phosphate

Explanation: Glucose-1-phosphate